EMLA constituent is –
1. Lidocaine + Cocaine
2. Lidocaine + Prilocaine
3. Lidocaine + Bupivacaine
4. Bupivacaine + Prilocaine

Correct answer: 2. Lidocaine + Prilocaine

Explanation: Eutectic mixture of local anaesthetics (EMLA) is a mixture of 2.5% lidocaine and 2.5 prilocaine.